Stavudine (Zerit) is prescribed to a client with human immunodeficiency virus seropositive. The nurse observes which of the following most closely while the client is taking the medication?
1. Orientation.
2. Gag reflex.
3. Appetite.
4. Gait.

Correct answer: 4. Gait.

Explanation: One of the most serious side effects of Stavudine (Zerit) is peripheral neuropathy so the nurse should monitor the client’s gait while taking this medication.

Options A, B, and C are not related to the use of the medication.